All are liver glycogenosis except?
1. Von Girke disease
2. Hers disease
3. Type IIi glycogenosis
4. Pompes disease

Correct answer: 4. Pompes disease

Explanation: Ans. is 'd' i.e., Pompes disease